Subpoena is a kind of -
1. Decomposed body tissue
2. Designation
3. Document
4. Court tribunal

Correct answer: 3. Document

Explanation: SUBPOENA OR SUMMONS: Sections 61 to 69 of Cr.P.C. It is a document compelling the attendance of a witness in a court of law under penalty, on a particular day, time & place for the purpose of giving evidence. It may also require him to bring with him any books, documents or other things under his control that he is bound by law to produce in evidence. REF: The synopsis of forensic medicine (Dr.K.S.Narayan Reddy) pg no-5, 29th edition.